Direction of the nasolacrimal duct is
1. Downwards, backwards and medially
2. Downwards, backwards and laterally
3. Downwards, forwards and medially
4. Downwards, forwards and laterally

Correct answer: 2. Downwards, backwards and laterally

Explanation: Downwards, backwards and laterallyNasolacrimal duct opens in to inferior meatusAnterior ethmoidal sinus and maxillary sinuses opens into middle meatusPosterior ethmoidal sinus opens into superior meatus